Supports of uterus are all except
1. Uterosacral ligaments
2. Mackenrodt's ligament
3. Broad ligament
4. Levatorani

Correct answer: 3. Broad ligament

Explanation: Ans. C. Broad ligamentCLASSIFICATIONPrimary supportsa. Muscular or activei. Pelvic diaphragmii. Perineal bodyiii. Urogenital diaphragmb. Fibromuscular or mechanicali. Uterine axisii. Pub cervical ligamentiii. Transverse cervical ligamentiv. Uterosacral ligamentv. Round ligament of uterusSecondary supportsi. Broad ligamentsii. Uterovesical fold of peritoneumiii. Rectovaginal fold of peritoneum Broad Ligaments:These are folds of peritoneum which attach the uterus to the lateral pelvic wall, it has anterior and posterior surfaces and upper, lower, medial and lateral borders. It contains the following structures:Uterine tubei. Round lig. of uterusii. Lig. of ovaryiii. Uterine and ovarian plexus and nerve plexusiv. Epoophoron and paroophoronv. Lymphaticsvi. Connective tissue.